Premotor area corresponds to?
1. Area 6
2. Area 7
3. Area 8
4. Area 12

Correct answer: 1. Area 6

Explanation: Immediately in front of the primary motor cortex lies Brodmann's area 6. Area 6 extends onto the medial surface, where it becomes contiguous with area 24 in the cingulate gyrus, anterior and inferior to the paracentral lobule. A number of functional motor areas are contained within this cortical region. Lateral area 6, the area over most of the lateral surface of the hemisphere, corresponds to the premotor cortex.